The largest component of amalgam alloy is:
1. Silver
2. Tin
3. Zinc
4. Copper

Correct answer: 1. Silver